Dose of thiopentone is?
1. 2.50%
2. 5%
3. 2%
4. 3%

Correct answer: 1. 2.50%

Explanation: ANSWER: (A) 2.5%REF: Miller 6th ed p. 345Dose of thiopentone is 2.5%